A 25 year old male presented with pigmentation of nose and pinna. After voiding, his urine becomes dark. His spine is most likely to show -
1. Atlantoaxial subluxation
2. Spondyloptosis
3. Basilar invagination
4. Calcification of disc

Correct answer: 4. Calcification of disc